Figure of 8 appearance is seen in
1. Paracoccidiomycosis
2. Coccidiomycosis
3. Blastomycosis
4. Sporotrichosis

Correct answer: 3. Blastomycosis